Which of the portions of the intra articular disc is the thinnest?
1. Anterior
2. Intermediate
3. Posterior
4. Retrodiscal

Correct answer: 2. Intermediate